True regarding opening of auditory tube in nasopharynx is:
1. Posterior to inferior nasal concha
2. Posterior to middle nasal concha
3. Superior to inferior nasal concha
4. Inferior to inferior nasal concha

Correct answer: 1. Posterior to inferior nasal concha

Explanation: The lateral wall of nasopharynx has pharyngeal opening of the auditory tube, at the level of the inferior nasal concha and 1.2 cm behind it